Side effects of cisplatin include all of the following EXCEPT :
1. Nausea and vomiting
2. Nephrotoxicity
3. Blindness
4. Ototoxicity

Correct answer: 3. Blindness